Germ tube formation is shown by
1. Candida albicans
2. Cryptococcus
3. Mucor
4. Aspergillus

Correct answer: 1. Candida albicans

Explanation: Ans. a (Candida albicans) (Ref. Ananthanarayan Microbiology 6th/pg. 576; 7th/)Raynolds-Braude phenomenon (germ-tube formation) is a rapid method of identifying Candida albicans based on ability to form germ tubes within 2 hrs on incubation in human serum at 37degC.CANDIDA ALBICANS# Yeast-like fungus# Pseudomycelia# Pseudohyphae are seen# It is not a dimorphic fungus# Diabetes is the most common predisposing factor# Normal inhabitants of skin and mucosa# Produces creamy-white, smooth colonies with yeast odour on Sabouraud's media# Forms Chlamydospores on Com meal agar at 20degC# Blastomeres seen in isolates# Members of the genus Candida reproduce by Ascospore formation# Treatment:Local - nystatin,Disseminated - Amphotericin, 5-Flurocytocin, clotrimazole.